Malaria protection comes from all except -
1. G6PD deficiency
2. Thalassemia
3. Sickle cell anemia
4. Acanthocytosis

Correct answer: 4. Acanthocytosis